Twin pregnancy is least associated with:
1. Multigravida
2. Genetic
3. Young female
4. Patient receiving fertilization treatment

Correct answer: 3. Young female

Explanation: Ans. (c) Young femaleRef. Dutta 7/e 202Twin pregnancy associated with increased maternal age.The incidence of Dizygotic twins increases with:* Increasing maternal age* Increasing parity* Family history of twinning* Ovulation induction with clomiphene citrate or gonadotrophins.